A 23-year-old woman presents with tremor, restlessness, heat intolerance, palpitation, and unexplained weight loss. The thyroid is symmetrically enlarged, the pulse is rapid, the skin is moist and warm, and exophthalmos is apparent. This condition is considered to be
1. autoimmune.
2. congenital.
3. infectious.
4. iatrogenic.

Correct answer: 1. autoimmune.

Explanation: - Given features are suggestive of Graves disease. - Graves disease is most common cause of endogenous hyperthyroidism caused d/t production of auto-antibodies that stimulate TSH receptors. Hence, option-1 is the answer. - This autoimmune disorder is associated with HLADR3 & HLA-B8